Which of these muscles is most frequently affected in childhood poliomyelitis?
1. Quadriceps
2. Deltoid
3. Tibialis anterior
4. Biceps

Correct answer: 1. Quadriceps

Explanation: Ans. A. QuadricepsThe most frequently affected muscles in poliomyelitis (in order of the frequency with which they are affected)(Lower limb muscles - Quadriceps; tibialis anterior; peroneal muscles) > (Upper limb muscles - Deltoid; triceps; biceps) > (Trunk - abdominal muscles; back; intercostals; diaphragm)